Hutchisons traid is seen –
1. Primary syphilis
2. Congenital syphilis
3. Secondary syphilis
4. Tertiary syphilis

Correct answer: 2. Congenital syphilis